100 mg hydrocortisone is equivalent to ?
1. 20 mg methylprednisolone
2. 20 mg cortisone acetate
3. 10 mg dexamethasone
4. 10 mg prednisone

Correct answer: 1. 20 mg methylprednisolone

Explanation: Ans. is 'a' i.e., 20 mg methylprednisolone o 20 mg of hydrocortisone (cortisol) = 5 mg of prednisolone = 4mg of methylprednisolone or triamcinalone = 0.75 mg of dexamethasone or betamethasone. o Thus, 100 mg of Hydrocortisone (cortisol) = 25 mg of prednisolone = 20 mg of methylprednisolone or triamcinolone = 3.75 mg of dexamethasone or betamethasone.